In a patient with concomitant diabetes, anti hypertensive agent of choice is:
1. Calcium channel blocker
2. Beta adrenergic blocker
3. ACE inhibitor
4. Plasma kinins

Correct answer: 3. ACE inhibitor

Explanation: Ans. C: ACE Inhibitor ACE inhibitors are particularly suitable for diabetic hypertensives in whom they reduce cardiovascular complications more than any other drugs, probably by improving endothelial function. Prolonged ACE inhibitor therapy has been found to prevent or delay end-stage renal disease in type-I as well as type-II diabetics.